Multiple sclerosis is characterized by a loss of which lipids:
1. Phospholipids and sphingolipids
2. Sphingolipids and ceramide
3. Phospholipids and ceramide
4. Sphingolipids and gangliosides

Correct answer: 1. Phospholipids and sphingolipids

Explanation: Multiple sclerosis Demyelinating disease Loss of Phospholipids & Sphingolipids from white matter. CSF shows | phospholipid levels